NOT an etiology for Myopia is
1. Increased axial length
2. Increased curvature of Cornea
3. Increased radius of curvature of Cornea
4. Increased accommodative effort

Correct answer: 3. Increased radius of curvature of Cornea

Explanation: Decreased radius of curvature of Cornea is an etiology for myopia, not increased radius of curvature.